Mechanism of action of zileuton:
1. Inhibit prostaglandin synthesis
2. Inhibit COX
3. Inhibit LOX
4. Inhibit mast cells

Correct answer: 3. Inhibit LOX

Explanation: Ans. C. Inhibit LOXArachidonic acid is acted upon by two enzyme-COX and LOX. Lox converts it into leukotrienes and Cox into prostaglandin. Zileuton is the inhibitor of LOX enzyme and it is used in treatment of asthma.